A 22-year-old street vendor, was found in the park having a seizure. Cops brought him to ER, unaware of any background medical history. He is continuously having seizures for 13 minutes and paramedics are not able to gain intravenous access. You ensure the airway is secure and administer oxygen, however, you are unable to gain intravenous access after two attempts. Blood glucose levels are 80mg%. Which medication would be most suitable to administer at this stage to treat patient's seizure?
1. Sodium Valproate
2. Levetiracetam
3. Midazolam
4. Lorazepam

Correct answer: 3. Midazolam

Explanation: Generalised convulsive status epilepticus (GCSE) * Blood glucose levels are normal * Failure to obtain I/V access Rx: Intranasal MIDAZOLAM or Rectal DIAZEPAM